Duret hemorrhages are seen in -
1. Forebrain
2. Occipital lobe
3. Pons
4. Temporal lobe

Correct answer: 3. Pons

Explanation: Ans. is 'c' i.e., Pons Duret Hemorrhage:* It is the hemorrhage of mid brain and pons secondary to herniation of brain.* This lesion in most cases is a secondary midline hemorrhage resulting from rapid assymetrical herniation of brainstem downwards.* The midline lesion usually involves the mid brain and pons but never the medulla.* The morphology of the hemorrhage is highly variable - ranges from a streak like discoloration in the midline pontinetegmentum to Rorschach like complex pattern.